To differentiate delirium from dementia in a 75-year-old male patient, the most appropriate diagnostic technique is
1. Evoked EEG
2. CT
3. PET
4. EEG

Correct answer: 4. EEG

Explanation: Electroencephalogram (EEG) measures electrical activity in the cortex and can be useful in differentiating delirium (abnormal EEG) from dementia (usually normal EEG) Evoked EEG is EEG measured after giving a stimulus.